All of the following are true regarding Legionella except.
1. Legionella can be grown on complex media
2. L. pneumophila serogroup 1 is the most common serogroup isolated from humans
3. Legionella are communicable from infected patients to others
4. L. pneumophila is not effectively killed by polymorphonuclear leukocyte

Correct answer: 3. Legionella are communicable from infected patients to others

Explanation: Ans. is 'c' i.e., Legionella are communicable from infected patients to othersRef: Harrison, 19th/e, p. 1014; Ananthanarayan, 9th/e, p. 401* No man to man transmission occurs.* Aspiration is predominant mode of transmission. Other modes include aerosolization, direct instillation into lungs.* Aerosolization by AC, nebulizer, humidifier, overhead showers and direct installation into lungs are other modes.* Aerosol spread leading to epidemics.